Not a substrate for gluconeogenesis -
1. Glycerol
2. Leucine
3. Lactate
4. Propionate

Correct answer: 2. Leucine

Explanation: Ans. is 'b' i.e., LeucineSubstrates for gluconeognesis ?LactateAll amino acids except leucine and lysinePyruvate PropionateGlycerolIntermediates of citric acid cycleAlanine is the most important gluconeogenic amino acid.